Surgical wound of trans-alveolar extraction mostly falls under which of these categories?
1. Clean
2. Clean-contaminated
3. Dirty-infected
4. None of the above

Correct answer: 2. Clean-contaminated

Explanation: Most of these procedures fall under clean-contaminated or contaminated categories.